Which of the following is not true regarding purtschner retinopathy?
1. Head injury, pancreatic injury are the most common cause
2. Gradual painless loss of vision is seen
3. Multiple hemorrhages in retina are seen
4. Associated with HELLP Syndrome

Correct answer: 2. Gradual painless loss of vision is seen

Explanation: Purtschner retinopathy presents with abrupt loss of vision. Purtschner Retinopathy Can cause sudden onset visual loss. Multiple hemorrhages and white patches seen over fundus. Causes Chest trauma Head trauma Acute pancreatitis Fat embolism HELLP Syndrome SLE Purtschner Retinopathy